Which of the following is not an indicator for disability?
1. HALE
2. DALY
3. Pearl index
4. Sullivan's index

Correct answer: 3. Pearl index

Explanation: Pearl index is a measure of effectiveness of a contraceptive method. It is expressed as failure rate per 100 woman years and is not related to disability. Note: HALE - Health Adjusted Life Expectancy DALY - Disability Adjusted Life Years Ref: Park's Textbook of Preventive Medicine, 17th Edition, Pages 22, 351.